Following drugs act against HIV–2 Except :
1. Ritonavir
2. Tenofovir
3. Efavirenz
4. Zalcitabine

Correct answer: 3. Efavirenz